In set of data with highly variable values,the best measure of central tendency is
1. Mean
2. Median
3. Mode
4. Standard Deviation

Correct answer: 2. Median

Explanation: Ref:Park's Textbook of Preventive and Social Medicine 25th Ed